What is true regarding Barret's esophagus:
1. Seen in females
2. Premalignant
3. Responds to conservative management
4. Squamous metaplasia is seen

Correct answer: 2. Premalignant

Explanation: Answer is B (Premalignant condition) Barret's oesophagus is a premalignant condition with increased risk of adenocarcinoma. Barret's esophagus is more common in males More common in males (Males > Females)0 More common in White (Whites > Blacks)e More common with increasing ageU Barret's metaplasia once established does not respond to conservative management `Established Metaplasia does not regress with antisecretory treatment' - Harrison Although medical treatment does not regress the metaplastic changes, it is still advocated to prevent continued insult. Barret's esophagus is associated with columnar metaplasia and not squamous metaplasia.